The following are related to granulosa cells except :
1. It has got no blood supply
2. In the fist half of the cycle, it has no steroidogenic function
3. Granulosa cells produce activin and inhibin
4. Estrogen stimulates the proliferation of granulosa cells

Correct answer: 2. In the fist half of the cycle, it has no steroidogenic function

Explanation: Granulosa cells: within the theca interna lies the granulosa cell layer, which consists of cells 8-10microns in diameter, nucleus stained deep and cells contain relatively less cytoplasm.The granulosa layer itself is noninvasive and capillaries cannot be identified in it. Steroidogenesis During the follicular phase, under the influence of LH, androgens are produced in the theca cells. These androgens fuse into granulosa cells where they are aromatised under the influence of FSH into estrogens - estradiol predominantly After the ovulation, progesterone is synthesised from luteinised granulosa cells under the influence of LH. Ref: D.C. Dutta's Textbook of Gynaecology, 6th edition, page no: 72